Which of the following endocrine tumors is most commonly seen in MEN I ?
1. Insulinoma
2. Gastrinoma
3. Glucagonoma
4. Somatotrophinoma

Correct answer: 2. Gastrinoma

Explanation: In MEN 1 : * Gastrinoma (>50%) * Insulinoma (10-30%) * Glucagonoma (<3%) * Somatotrophinoma (25%) Reference : page 2336 Harrison's Principles of Internal Medicine 19th edition